In a child which of the following diseases is misdiagnosed as appendicitis:
1. Gastroentritis
2. Lymphadenitis
3. Intussusception
4. All of the above

Correct answer: 4. All of the above

Explanation: Ans. (d) All of the aboveInfantsPre-school ChildrenSchool ChildrenPyloric StenosisIntussusceptions, Meckel'sDiverticulitis, AcuteGastroenteritisThe most common mimicker of appendicitis in this population is mesenteric lymphadenitis AdultsWomen In Their Childbearing YearsElderlyPyelonephritis,ColitisDiverticulitis(Higher incidence of false- positive diagnoses in this group) Pelvic InflammatoryDisease (PID), Tubo-OvarianAbscess, Ruptured OvarianCyst Or Ovarian Torsion, AndEctopic Pregnancy.DiverticulitisBowelObstructionMalignanciesOfTheG.I Tract&ReproductiveSystemPerforated UlcersCholecystitis